A 30 year old female patient presents with nonprogressive dysphagia, for both solids and liquids. The characteristic finding on barium swallow that will confirm the probable diagnosis is
1. Dilated esophagus with narrow lower end (Rat tail esophagus)
2. Multiple sacculations and pseudodiveiculae (Corkscrew esophagus)
3. Narrow and irregular esophageal lumen
4. Stricture ulcer in the esophagus

Correct answer: 2. Multiple sacculations and pseudodiveiculae (Corkscrew esophagus)

Explanation: Options a & b indicate motility disorders, c & d indicates mechanical causes of obstruction.Dysphagia for both solids and liquids suggest motility disorder whereas solids more than liquids suggest mechanical obstruction.Dysphagia due to diffuse esophageal spasm is nonprogressive and due to achalasia(dilated esophagus with rat tail appearance) is progressive.Ref: Harrison's 18/e p2432, 16/e p1742 CMDT 2013 p592